Foster Fuch's spots are seen in -
1. Hypermetropia
2. Myopia
3. Astigmatism
4. None

Correct answer: 2. Myopia

Explanation: Ans. is 'b' i.e.. Myopia Examination findings in myopia o On examination following findings are seen : - Large prominent eyeball and cornea. In early cases of myopia, fundus is normal. Later there may be myopic crescents, Foster's fuch's spot at the macula, peripheral retinal (lattice & Snail track) degeneration, cystoid degeneration, vitreous liquefaction & opacities, posterior vitreous detachment (Weiss*reflex).